In a patient of Bronchial Asthma, silent chest signifies?
1. Good prognosis
2. Bad prognosis
3. Grave prognosis
4. Not a prognostic sign

Correct answer: 3. Grave prognosis

Explanation: Grave prognosis REF: Practitioner: Volume 230, Page 185, Allergy: principles & practice: Volume 1 page 517 "The silent chest, where air entry is so poor that few sounds are produced, is a grave prognostic sign" Cyanosis, an altered consciousness, gasping respirations, and a silent chest in a dyspneic patient all herald grave illness. These events occur in less than 1% of cases